Centrilobular zonal necrosis in liver is seen with which of the following drug?
1. Carbon tetrachloride
2. Rifampicin
3. INH
4. Yellow phosphorus poisoning

Correct answer: 1. Carbon tetrachloride

Explanation: Carbon tetrachloride characteristically produce a centrilobular zonal necrosis, whereas yellow phosphorus poisoning typically results in periportal injury. Ref: Harrisons Principles of Internal Medicine, 18th Edition, Page 2558.